Human is dead end host for?
1. Malaria
2. Typhoid
3. Bubonic plague
4. Filaria

Correct answer: 3. Bubonic plague

Explanation: Ans. is 'c' i.e., Bubonic plague A dead end host is an infected person from which infectious agents are not transmitted to other susceptible host or from which a parasite cannot escape to continue its life cycle. The diseases in which human acts as dead end host, i.e., dead and disease : ? Japanies encephalitis Trichinosis Bubonic plaque Echynococcosis (hydatid disease) Tetanus